Best position of twins for normal vaginal delivery:
1. A non-vertex, B vertex
2. A vertex, B non-vertex
3. A vertex, B vertex
4. A non-vertex, B non-vertex

Correct answer: 3. A vertex, B vertex

Explanation: Ans. (c) A vertex, B vertexRef dutta 7le 202-203* Vertex twin i.e. both baby in vertex presentation has best prognosis.Presentations* Both vertex (Most common) 60%* Vertex (1st) - Breech (2nd) 20%* Breech (1st)-Vertex (2nd) 10%* Both Breech 8-10%Mode of Delivery in twin presentation* Vertex Twin: Mode of Delivery is Vaginal i.e. (Vx-Vx)* 1st Breech & 2nd vertex *C.S# Interlocking most commonly seen with this presentation# After coming head of 1st twin gets locked with forecoming Head of 2nd Twin* 1st Twin Vertex and 2nd Any * Vaginal Delivery* 1st Twin Transverse * C.S